Marfan's syndrome most commonly involves?
1. Ascending aorta
2. Descending aorta
3. Arch of aorta
4. Aortic valves

Correct answer: 1. Ascending aorta

Explanation: Ascending aorta REF: Cardiac surgery in adults 3' ed by lawrence H.Cohn chapter 46 Seventy-five to eighty-five percent of patients with Marfan syndrome have dilation of the aortic sinuses and annulus in addition to the ascending aorta. This morphology, referred to as annuloaortic ectasia, is the classic presentation of Marfan syndrome, but can occur in the absence of a known connective tissue disorder. Because of the frequent aortic root involvement, aortic insufficiency is common. One third of patients with Marfan syndrome also have mitral regurgitation.